Histological changes in lens-induced uveitis include –
1. Ghost cells
2. Giant cell reaction
3. Amyloid in the cornea
4. Vasculitis

Correct answer: 2. Giant cell reaction

Explanation: Lens induced uveitis is giant - cell granulomatous uveitis.